Which of the following is the commonest site of intestinal tuberculosis?
1. Stomach
2. Jejunum
3. Ileum
4. Colon

Correct answer: 3. Ileum

Explanation: Although any portion of gastrointestinal tract may be affected in tuberculosis , terminal ileum & cecum are most common sites of intestinal TB